Graft is not taken up by the following tissue:
1. Fat
2. Muscle
3. Skull bone
4. Deep fascia

Correct answer: 3. Skull bone

Explanation: Ans. C: Skull bone The use of Full Thickness Skin Grafts is contraindicated when the recipient bed, due to lack of reasonable vascular supply, cannot sustain the graft. Using an FTSG on avascular tissues, such as exposed bone or cartilage, most often leads to graft necrosis unless the area is small (and allows the bridging phenomenon to occur). Uncontrolled bleeding in the recipient bed is another contraindication to the placement of an FTSG because hematoma and/or seroma formation under the graft compromises graft survival.